Resection of 90% of ileum and jejunum causes all of the following Except
1. Hypogastrinemia
2. Steatorrhoea
3. Anemia
4. Extra cellular volume depletion

Correct answer: 1. Hypogastrinemia

Explanation: Harrison's says "Gastric hypersecretion of acid occurs in many patients following large resection of the small intestine. The etiology is unclear but may be related to reduced hormonal inhibition of acid secretion or increased gastrin levels due to reduced small intestinal catabolism of circulating gastrin " Ref: Harrison's 19th edition Pgno : 1443